Graze is a form of:
1. Contusion
2. Abrasion
3. Lacerated wound
4. Incised wound

Correct answer: 2. Abrasion

Explanation: Graze/ Brush burn/ gravel rash: Most common type of abrasion Due to violent rubbing of skin on rough surface ( eg. dragging over road). Seen in road traffic accidents